Rosenthal fibres are seen in -
1. Pilocytic astrocytoma
2. Glioblastoma
3. Medulloblastoma
4. Ependymoma

Correct answer: 1. Pilocytic astrocytoma

Explanation: Rosenthal fibers are thick, elongated, "corkscrew" eosinophilic bundles that are found on H&E staining of the brain.
They are seen in the presence of long-standing gliosis, pilocytic astrocytoma, Alexander's disease (a rare leukodystrophy) and fucosidosis.